Among which hypoxia AV O2 difference is max -
1. Histotoxic
2. Stagnant
3. Hypoxic
4. Anemic

Correct answer: 2. Stagnant

Explanation: Ans. is 'b' i.e.. Stagnant HypoxiaArterial O2 (PaO2)Venous O2 (PvO2)Hypoxic||Anemic||HistoxicNormal|StagnantNormal|o Thus, stagnant hypoxia has maximum arterio-venous O2 difference as Arterial O2 is normal but venous O2 is decrease - Increasing the difference. This is because more O2 is extracted by tissues due from stagnant blood.HYPOXIATypesSingle best testPAO2Pa O2(O2 tension) or(dissolved O2)O2 consent(03 carrying capacity)A-V-O2difference%satura*Sa O2Stimula*of PCROther RemarHypoxicPa O2;||||N|+| 2,3 DPG, O2 therapy usefulAnemicO2, content(or Hb%)NN||N|| | 2,3 DPG shift to right, hyperkinetic circulation, | turbulenceStagnantA-V O2,differenceNNN||N+ HistotoxicA-V O2. Difference or P O2. Venous bloodNNN| or 0N+Venous blood is bright redA-V difference of O2 is nil or very low (tissue can't extract O2 from arterial blood)